Henoch-Schonlein purpura is characterized by the deposition of the following immunoglobulin around the vessels?
1. IgM
2. IgG
3. IgA
4. IgE

Correct answer: 3. IgA

Explanation: Henoch-Schonlein purpura, also referred to as anaphylactoid purpura, is a small-vessel vasculitis characterized by palpable purpura (most commonly distributed over the buttocks and lower extremities), arthralgias, gastrointestinal signs and symptoms, and glo merulonephritis. The presumptive pathogenic mechanism for Henoch-Schonlein purpura is immune-complex deposition. A number of inciting antigens have been suggested including upper respiratory tract infections, various drugs, foods, insect bites, and immunizations. IgA is the antibody class most often seen in the immune complexes and has been demonstrated in the renal biopsies of these patients. (Harrison&;&;s principle of internal medicine,18th edition,pg no.2797)